Tonsils reach their maximum size by -
1. 1 years
2. 3 years
3. 5 years
4. 12 years

Correct answer: 4. 12 years

Explanation: Growth of tonsils is very rapid from birth to 3 years and then again from 7 to 12 years.
Thereafter, the tonsils atrophy.